The range of environmental temperature at which the basal metabolic rate (BMR) of the baby is at a minimum, oxygen consumption is at least and baby maintains its normal body temperature is called?
1. Thermoneutral environment
2. Normothermic environment
3. Basal environment
4. Anabolic environment

Correct answer: 1. Thermoneutral environment

Explanation: The range of environmental temperature at which BMR of the baby is at a minimum, oxygen consumption is at least and baby maintains its normal body temperature is called 'Thermoneutral environment'.